Posterior communicating artery is a branch of:
1. Internal carotid
2. External carotid
3. Middle cerebral
4. Posterior superior cerebellar

Correct answer: 1. Internal carotid

Explanation: Posterior communicating artery is a branch of the cerebral part of the internal carotid artery. The cerebral part lies at the base of the brain.Ref: Human Anatomy, B D Chaurasia, 4th Edition, Volume 3, Chapter 6, Page 103.